True statement about cyclooxygenase-2 is
1. It Is not inhibited by indomethacin
2. It I'd inducible
3. It generate cytoprotective prostaglandins in gastric mucosa
4. It is found only in fatal tissues

Correct answer: 2. It I'd inducible

Explanation: Ref-KDT 6/e p185 COX-1 is a house-keeping enzvme that is responsible for the generation of gastroprotective PGs. COX-2 is an inducible enzyme whose production is markedly increased at inflammatory sites. Indomethacin is a non-selective inhibitor of both isoforms of COX.